Taste pathway comes under which neural column
1. SSA
2. GSA
3. SVA
4. GVA

Correct answer: 3. SVA

Explanation: There are 7 neural columns- 3 motor (GSE, GVE, SVE) and 4 sensory (GSA,GVA,SSA,SVA) sensory columns (afferents) GSA GVA SSA - vision (cranial nerve 2), hearing and balance (cranial nerve 8) SVA - smell and taste (cranial nerve 7, 9, 10)